Which of the following is the First vein ligated during thyroidectomy?
1. Superior thyroid vein
2. Middle thyroid vein
3. Inferior thyroid vein
4. Thyroid ima vein

Correct answer: 2. Middle thyroid vein

Explanation: Middle thyroid vein present only in 30 - 35% individuall. and it is the first vein ligated during thyroidectomy. (note : Thyroid ima is direct pranch from arch of anrta supplying thyroid gland which is present in some individuale).